Steroids are given in rheumatic fever when there is -
1. Carditis
2. Chorea
3. Subcutaneous nodules
4. All

Correct answer: 1. Carditis

Explanation: Suppressive therapy of RF

If patient has carditis with CHF              -->            Steroids
If patients has carditis without CHF       -->           Steroids or aspirin (steroids are preferred)
If patient does not have carditis             -->                 Aspirin
The total duration of suppressive therapy is 12 weeks.